Pelvis alone helps in -
1. 95% sex determination
2. 90% sex determination
3. 75% sex determination
4. 50% sex determination

Correct answer: 1. 95% sex determination

Explanation: Ans. is 'a' i.e. 95% sex determination According to krogman, the degree of accuracy in sexing adult skeletal remains is :-* Pelvis plus skull - 98 %Long bones alone- 80 %Entire skeleton 100%Pelvis alone 95 %Skull alone 90 %